The type mutation that leads to replacement of valine for glutamate in sickle cell disease is
1. Point mutation
2. Silent mutation
3. Nonsense mutation
4. Any of above

Correct answer: 1. Point mutation

Explanation: Sickle-cell anemia is caused by apoint mutation in the b-globin chain of hemoglobin, causing the hydrophilic amino acid glutamic acid to be replaced with the hydrophobic amino acid valine at the sixth position. The b-globin gene is found on the short arm of chromosome 11. Ref ganong's review of medical physiology 25e